Common sites of mongolian spot are :
1. Face
2. Neck
3. Lumbo sacral area
4. Leg

Correct answer: 3. Lumbo sacral area

Explanation: C. i.e. Lumbosacral